The best indicator for the measurement of "completed family size", that is, the number of children a woman would have through her reproductive years is -
1. General fertility rate
2. Total fertility rate
3. Gross reproduction rate
4. Net reproduction rate

Correct answer: 2. Total fertility rate

Explanation: Total fertility Rate Is standardised Index for fertility level Average no of children a woman would bear in her reproductive life span ; Also known as 'Period Total Fertility Rate' Gives magnitude of approximately 'Completed family size' - No of alive children in a family Obtained by summing single year age-specific rates at a given time TFR is a synthetic rate : Is not actually counted, as thus would involve waiting until women compelete child bearing TFR (India) : 2.2 (2017) Replacement level of fertility : (TFR=2.1): TFR at which new born girls would have an average of exactly 1 daughter over their lifetimes (women have just enough babies to replace themselves) Replacement TFR (industrialised countries) =2.1 Replacement TFR (developing countries) =2.5-3.3 Reolacemnet TFR (globally) = 2.33 Ref: Park 25th edition Pgno : 540